Incongruous homonymous hemianopia is caused by lesion in the
1. Optic tract
2. Optic chiasma
3. Optic nerve
4. Optic radiation

Correct answer: 1. Optic tract

Explanation: A. (Optic tract) (290 - Khurana 4th)* Incongrous homonymous hemianopia - caused by lesion in the optic tract* Congruous homonymous hemianopia - caused by lesion in the visual cortexLESIONS OF THE VISUAL PATHWAYSite of lesionManifestations ;; Optic nerve- Complete blindness on affected side associated with abolition of the direct light reflex on the I/L and consensual on the C/L side, Near (accommodation) reflex is present Central lesion of the chiasma .- * Bitemporal hemianopia and bitemporal hemianopic paralysis of pupillary reflexes Lateral chiasmal lesions- Binasal hemianopia associated with binasal hemianopic paralysis of the pupillary reflexes Optic tract- * Incongruous homonymous hemianopia associated with C/L hemianopic pupillary reaction (Wernicke's reaction) Lateral geniculate body- Homonymous hemianopia with sparing of pupillary reflexes Optic radiation- Complete homonymous hemianopia Inferior quadrantic hemianopia (pie on the floor)- Superior quadrantic hemianopia (pie in the sky)[G1 Visual cortex- Congruous homonymous hemianopia